CO acts by inhibiting which component of respiratory chain
1. Cytochrome B
2. Cytochrome C oxidase
3. NADH CoQ reductase
4. Oxidative phosphorylation

Correct answer: 2. Cytochrome C oxidase

Explanation: Carbon monoxide is toxic for mitochondria in man, altering the mitochondrial respiratory chain at the cytochrome c oxidase level. This inhibition in cytochrome c oxidase may play a role in the development of the symptoms observed in acute CO poisoning, and in some diseases related to smoking